Which of the following is false about clinical trials of phases of drugs:
1. Healthy volunteers are taken in Phase 1
2. Efficiency can be calculated in Phase 2
3. Maximum drug failure occurs in Phase 3
4. Post marketing surveillance is done in Phase 4

Correct answer: 3. Maximum drug failure occurs in Phase 3

Explanation: Maximum drug failure occurs in Phase 2.